The treatment of acute Periapical abscess is
1. Endodontic therapy or extraction
2. Incision and drainage only
3. Pulp capping
4. None of the above

Correct answer: 1. Endodontic therapy or extraction